A multipara with 34 weeks pregnancy tachycardia, fever, hepatospleenomegaly, pallor has :
1. Malaria
2. Iron deficiency anaemia
3. Physiological anaemia
4. Megaloblastic anaemia

Correct answer: 1. Malaria

Explanation: Malaria